Dietary lipids are transported from intestine in -
1. Chylomicrons
2. VLDL
3. LDL
4. HDL

Correct answer: 1. Chylomicrons

Explanation: Ans. is 'a' i.e., Chylomicrons o Dietry (exogenous) triglycerides are transported from intestine to various tissues by chylomicrons. In these tissues, LPL (in blood vessels) hydrolyses TGs into fatty acids and glycerol. Fatty acids are taken up by tissues for their use. The chylomicron is converted to chylomicron remnants, which carry the remaining dietary lipids (cholesterol, remaining TGs) to liver.o So, the starting point of chylomicrons is intestine from where they take dietary lipids. Final destination is liver. Between, starting point (intestine) and final destination (liver) chylomicrons supply TGs to various tissues (which contain lipoprotein lipase in their blood vessels).